Which of the following interacts with Digitalis maximally-
1. Furosemide
2. Triamterene
3. Amiloride
4. Spironolactone

Correct answer: 1. Furosemide

Explanation: Ans. is 'a' i.e., Furosemide o Two classes of diuretics are given in the options Loop Diuretics -----> Furosemide (cause hypokalemia) Potassium sparing diuretics ----> Spironolactone, Trimetrene, Amiloride (cause Hyperkalemia) We know that digitalis toxicity is potentiated by hypokalemia. So the drug interacting with digitalis will be Furosemide as it causes Hypokalemia.